Which of the following is the most common presenting symptom of non-cirrhotic portal hypertension ?
1. Chronic liver failure
2. Ascites
3. Upper gastrointestinal bleeding
4. Encephalopathy

Correct answer: 3. Upper gastrointestinal bleeding